a patient presented with swelling in his right foot with multiple discharging sinuses.the leison did not respond to antibiotics the likely etiological agent would be ?
1. actino madura
2. nocardia
3. SPOROTHRIX
4. madurella mycetomatis

Correct answer: 4. madurella mycetomatis

Explanation: Madurella mycetomatis causes the majority of the cases with the black grains. It is imperfect dematiaceous mold with brown colonies and diffused honey-colord pigment. Causes of mycetoma Eumycetoma : caused by species of fungi as: 1-Madurella mycetomatis 2-Madurella grisea 3-Leptosphaeria senegalensis 4-Pseudallescheria boydii 5-Acremonium (A.faciform, A.kiliense, A.recifei) 6-Aspergillus spp. (A. nidulans A. flavus) ref : thomas habif